The complications that can occur with internal podalic version for transverse lie :
1. Uterine rupture
2. Uterine atony
3. Cervical laceration
4. Vaginal ulceration

Correct answer: 1. Uterine rupture

Explanation: Internal podalic version : It is used for the second twin when it is lying transversely and external version fails Complications : Maternal Placental abruption Rupture uterus Increase morbidity Fetal Asphyxia Cord prolapse Intracranial hemorrhage Ref: Datta Obs 9e pg 543.